β - blockers masks all the symptoms of hypoglycemia except
1. Sweating
2. Increased heart rate
3. Hypertension
4. None of the above

Correct answer: 1. Sweating

Explanation: β - blockers masks all sympathetic adrenergic symptoms, but sweating is caused because of sympathetic cholinergic activity.